A patient is diagnosed with gas gangrene of the foot. Best management would be
1. Hyperbaric oxygen
2. Polyvalent gas gangrene antitoxin
3. Amputation of the involved limb
4. Antibiotics with surgical debridement

Correct answer: 4. Antibiotics with surgical debridement

Explanation: All the above are part of gasgangrene management, the main stay is debridment and antibiotics Treatment for gas gangrene includes, Inj. Benzyl penicillin 20 lacs 4th hourly. + Inj. metronidazole 500 mg 8th hourly + Inj. aminoglycosides (if blood urea is normal) or third generation cephalosporins. Polyvalent antiserum 25,000 units given intravenously after a test dose and repeated after 6 hours. Liberal incisions are given. All dead tissues are excised and debridement is done until healthy tissue bleeds. * Hyperbaric oxygen is very useful. Rehydration and maintaining optimum urine output (30 ml/hour) (0.5 ml/kg/hour). Electrolyte management. In severe cases amputation has to be done as a lifesaving procedure - stump should never be closed. Often ventilator support is required. ref:SRB;s manual of surgery,ed 3,pg no 46